A baby is born at 30 weeks of gestation by cesarian delivery Neonate develops tachypnea, flaring, subcostal and intercostal retractions immediately after birth. Chest radiography shows bilateral, diffuse, ground glass appearance and air - bronchogram sign present. Doctor started surfactant therapy within 1 hour of onset of respiratory distress. This is known as_____
1. Immediate therapy
2. Late rescue therapy
3. Early rescue therapy
4. Prophylactic therapy

Correct answer: 3. Early rescue therapy